Mousy odour urine is seen in-
1. Maple syrup urine
2. Phenylketonuria
3. Isovalericaciduria
4. Cystinuria

Correct answer: 2. Phenylketonuria

Explanation: Ans. is 'b' i.e., Phenylketonuria Inborn Errors of amino acid metabolism associated with peculiar odor